Failure of migration of neural crest cells is seen in
1. Albinism
2. Congenital megacolon
3. Odontomes
4. Adrenal tumor

Correct answer: 2. Congenital megacolon

Explanation: Congenital megacolon (nirschsprung tiscase) due to failure of migration of neural crest to distal part of the tube so absence of para sympathetic myenteric acerbach's ganglia. Diseased segment is construction and the segmanr proximal is dilated due to faxical retention.